Which of the following is the biochemical marker of choice from cholestatic jaundice of pregnancy?
1. Serum Bilirubin
2. Bile acids
3. Bile salts
4. Alkaline phosphatase levels

Correct answer: 2. Bile acids